The most common cells to exhibit ameboid locomotion in human body is
1. RBC
2. WBC
3. Platelets
4. None of the above

Correct answer: 2. WBC

Explanation: The most common cells to exhibit ameboid locomotion in the human body are the white blood cells when they move out of the blood into the tissues to form tissue macrophages. Other types of cells can also move by ameboid locomotion under certain circumstances. For instance, fibroblasts move into a damaged area to help repair the damage and even the germinal cells of the skin, though ordinarily completely sessile cells, move toward a cut area to repair the opening. Finally, cell locomotion is especially important in development of the embryo and fetus after fertilization of an ovum. For instance, embryonic cells often must migrate long distances from their sites of origin to new areas during development of special structures.